JE virus life cycle in nature run between ?
1. Pigs-Mosquito
2. Cattle-Birds
3. Pigs-human
4. Bird-Pigs

Correct answer: 1. Pigs-Mosquito

Explanation: The natural cycles of JE vrirus are:-
a. Pig → Mosquito → Pig
b. Ardeid bird → Mosquito → Ardeid bird
Japanese encephalitis
Caused by a group B arbovirus (flavivirus)
 It is a Zoonotic disease i.e., infecting mainly animals and incidentally man.
In the south, epidemics have occurred in Karnataka, Andhra Pradesh. Tamil Nadu, and Kerala.
Vector → mosquito (Culex tritaeniorhynchus) that breeds in rice fields.
 Hosts
Pigs → Amplifiers
Cattle and buffalos → Mosquito attractants
Man → Incidental dead-end host
Herons → Reservoir hosts
Cycles
a. Pig → Mosquito → Pig
b. Ardeid bird → Mosquito → Ardeid bird
Incubation period → 5-35 days.